The pathogonomic finding in pseudogout is ?
1. CPPD crystals under microscope
2. Polyarthritis with urinary sediment
3. Juxta - articular osteopenia
4. Bone spurs

Correct answer: 1. CPPD crystals under microscope

Explanation: Ans. is 'a' i.e., CPPD crystals under microscope Pseudogout It is one of the forms of "Calcium pyrophosphate dihydrate" (CPPD) arthropathy Pseudogout commonly involves the larger joints. Knee joint is most commonly involved; other sites are wrist, elbow, shoulder, ankle. Involvement of small joints is uncommon. Age group is > 60 yrs. In CPPD arthropathy, CPPD deposition occurs in articular tissues. It can present in any of the following three forms? Asympatomatic chondrocalcinosis Acute synovitis - Pseudogout Chronic pyrophosphate arthropathy The radiologic hallmark of CPPD is "chondrocalcinosis". Chondrocalcinosis is seen as punctate and/or linear radiodense deposits in fibrocartilaginous joint menisci or articular hyaline cartilage. Definitive diagnosis is made by synovial fluid polarised light microscopy which shows weakly positive, birefkingent, rhomboid crystals of CPPD. In acute synovitis form, leucocytosis (thousands to 1 lac cells/ 1) is seen in synovial fluid examination. It may be associated with certain underlying disease such as - Primary hyperparathyroidism Hemochromatosis Hypomagnesemia Hypophosphatasia Hypothyroidism